Dose of rTPA in ishaemic stroke is?
1. 6O mg
2. 90 mg
3. 100 mg
4. 120 mg

Correct answer: 2. 90 mg

Explanation: *-PA(recombinant tissue plasminogen activator) is administered as 0.9mg/kg IV(max. 90 mg)IV as 10% of total dose by bolus ,followed by remainder as total dose over 1hr. Ref Harrison20th edition pg 2445